A 26-year-old male presents with acute right lower quadrant pain in abdomen. Suspecting appendicitis, a USG is done but it is equivocal. Next investigation would be:
1. CT scan
2. Plain X-ray
3. Serum ESR
4. MRI abdomen

Correct answer: 1. CT scan

Explanation: Ans. (a) CT scanRef: Bailey and Love 26th edition, Page 1206* Most commonly done investigation is USG abdomen* Most accurate investigation -- CECT scan